Regarding saline infusion sonography, all are true except
1. Best performed within first 10 days of menstrual cycle.
2. Timing of procedure is cycle dependent in all women
3. SIS in initial days of cycle, precludes disturbing a potential pregnancy
4. SIS is optimally done on cycle days, 4,5 or 6 because the lining is thinnest

Correct answer: 2. Timing of procedure is cycle dependent in all women

Explanation: For post-menopausal woman, timing of procedure is not cycle - dependent.